Non motile clostridia is -
1. Cl. perfringens
2. Cl. novyi
3. Cl. botulism
4. Cl. difficle

Correct answer: 1. Cl. perfringens

Explanation: Ans. is 'a' i.e., Clostridium perfringens